Glass reinforced composite is used in all of the following except ?
1. Obturation of young permanent teeth
2. Splinting of teeth
3. Space maintainer
4. Used in intra-post cementation of endodontically treated tooth

Correct answer: 1. Obturation of young permanent teeth